Which of the following response is considered to be a positive interpretation in a contraction stress test?
1. Early deceleration
2. Early acceleration
3. Persistent late deceleration
4. Variable deceleration

Correct answer: 3. Persistent late deceleration

Explanation: Contraction stress test is based on the response of fetal heart rate to uterine contractions. This test requires 3 contractions in 10 minutes to be adequate for interpretation. A positive test is defined as late decelerations occurring with more than half of the contractions. A test is considered to be suspicious or equivocal if any late decelerations are seen and negative with no late decelerations. Contraindications for contraction stress test include any contraindications to labor, such as placenta previa or prior classic caesarean section. Ref: Mehta S.H., Sokol R.J. (2013). Chapter 12. Assessment of At-Risk Pregnancy. In A.H. DeCherney, L. Nathan, N. Laufer, A.S. Roman (Eds),CURRENT Diagnosis & Treatment: Obstetrics & Gynecology, 11e.